An elderly male accompanied by his son.The son tells his father has fever, cough, shortness of breath since 2 weeks. The patient is a known case of chronic bronchitis and diabetes. Travel history to Wuhan City, China is present. What is the symmetry of the causative virus?
1. Naked helical symmetry
2. complex symmetry
3. Enveloped helical symmetry
4. Icosahedral symmetry

Correct answer: 3. Enveloped helical symmetry

Explanation: The patient is suffering from coronavirus disease 2019. The symmetry of the causative virus is enveloped helical symmetry. Coronaviridae is a family of which have the following properties: Unsegmented genome of positive-sense, single-stranded RNA viruses. They are enveloped viruses. They exhibit helical symmetry. Coronavirus is the causative agent of severe acute respiratory syndrome (SARS-CoV). Viruses with Helical Symmetry: Mnemonic: ABC FOR PARAmedics Arenavirus Bunyavirus Coronavirus Filovirus Orthomyxovirus Rhabdovirus Paramyxovirus Reference: Ananthanarayan and Paniker's Textbook of Microbiology Tenth edition